Cause of sudden loss of vision in alcoholic pancreatitis is
1. Central retinal artery obstruction
2. Acute congestive glaucoma
3. Purtscher retinopathy
4. Sudden alcohol withdrawl

Correct answer: 3. Purtscher retinopathy

Explanation: Putscher's retinopathy is a disease where part of the eye (retina) is damaged. Usually associated with severe head injuries, it may also occur with other types of trauma, such as long bone fractures, or with several non-traumatic systemic diseases. However, the exact cause of the disease is not well understood. There are no treatments specific for Purtscher's retinopathy, and the prognosis varies. The disease can threaten vision, sometimes causing temporary or permanent blindness. Purtscher's retinopathy is a rare condition that is associated with complement-activating systemic diseases such as acute pancreatitis Ref Davidson edition23rd pg 840